Most common site of sinusitis in children
1. Maxillary sinus
2. Ethmoidal sinus
3. Frontal sinus
4. Spenoid sinus

Correct answer: 2. Ethmoidal sinus

Explanation: Acute ethmoid sinusitis Aetiology Acute ethmoiditis is often associated with infection of other sinuses. Ethmoid sinuses are more often involved in infants and young children. (Ref: Diseases of ENT, PL Dhingra, 7th edition, of no. 216)